EEG rhythm having lowest frequency is?
1. Alpha
2. Beta
3. Delta
4. Theta

Correct answer: 3. Delta

Explanation: C i.e. Delta